ECT is advocated in following except -
1. Chronic schizophrenia
2. Catatonic schizophrenia
3. Severe depression
4. Severe psychoses

Correct answer: 1. Chronic schizophrenia

Explanation: Simple chronic schizophrenia is not an indication for ECT.